Pressure of normal uterine contractions is between 190-300 units. Which unit is being referred here?
1. Montevideo units
2. mm of Hg
3. cm of water
4. Joules /kg

Correct answer: 1. Montevideo units

Explanation: 1 Montevideo unit = Intensity of contraction x Number of contractions in 10 mins. It is used to define uterine activity. Clinical labour usually commences when the uterine activity reaches values between 80-120 Montevideo units i.e, 3 contractions of 40 mm Hg every 10 mins. During labour, Normal uterine contractions are between 190-300 Montevideo units . Ref: Williams Obs 23e pg 437.